Popcorn type of Reed-Sternberg cell is seen in the following type of Hodgkin's lymphoma -
1. Lymphocyte rich
2. Mixed cellularity
3. Lymphocyte predominance
4. Lymphocyte depletion

Correct answer: 3. Lymphocyte predominance